All are seen in CMV retinitis except
1. Immunosuppresion
2. Brush-fire appearance Pattern
3. Crack mud appearance
4. Perivasculitis

Correct answer: 3. Crack mud appearance

Explanation: Answer- C. Crack mud appearanceCMV retinitis is the most common ophthalmic manifestation of CMV.There is characteristic hemorrhagic, full thickness retinitis.Occuring as a congenital infection in infants or an opportunistic infection in the immunocompromised host.CMV retinitis is a white granular geographic lesion that clears centrally as it enlarges, leaving a quiet central area of retinal atrophy and mottled pigment epithelium. This has also been described as "brush-fire pattern.Perivascular retinitis- Frosted branch angitis with retinal perivasculitis.